All of the following statements about LDL are TRUE, EXCEPT:
1. It delivers cholesterol to cells
2. It contains only one Apoprotein
3. It is a marker for cardiovascular disease
4. It contains Apo-B4

Correct answer: 4. It contains Apo-B4

Explanation: LDL contains 70% of plasma cholesterol and its hydrophobic core is composed of 1500 molecules of CE surrounded by a polar phospholipid coat that contains free cholesterol and one molecule of apoB 100 per particle. LDL is derived from VLDL by the action of lipoprotein lipase. Apolipoprotein B is the major protein in LDL. LDL delivers cholesterol to body cells, which uses it to synthesize membranes, hormones, and other vital components. The cells engulfs and ingests LDL endocytosis. Liver cells also have LDL receptors that binds LDL and control blood cholesterol levels. Ref: Megakaryocytes, Platelets, Macrophages, and Eosinophils: Megakaryocytes ... edited by J. Robin Harris page 187, Sports Science Handbook: A-H By Simon P. R. Jenkins page 153.